Palpable pupura is seen in all conditions except
1. Cryoglobulinuria
2. H. S. Pupura
3. Gaint cell arteritis
4. Drug induced vasculitis

Correct answer: 3. Gaint cell arteritis

Explanation: C i.e. Gaint cell arteritis - Nonpalpable purpura is seen in clotting disturbances like ITPQ and platelet/ clotting factor defect; in thrombi formation like TTP, DIC, warfarin or heparin induced reaction; in increased vascular fragility like amyloidosisQ, scurvy & Ehlers-Danlos syndrome. Steroid purpura & capillaritisQ also produce nonpalpable purpura. Palpable purpura is seen in small vessel (or leucocytoclastic) vasculitis like Wegner's granulomatosis, Henoch Scholein Purpura, Churg Strauss syndrome, microscopic polyangitis (polyarteritis), essential cryoglobulinaemiaQ, cutaneous leucocytoclastic vasculitis ( hypersensitivity angiitis or cutaneous necrotizing venulitis mainly affecting cutaneous post capillary venules), drug induced leucocytoclastic vasculitisQ and serum sickness like reactionQ.